Commonest position of appendix:
1. Pelvic
2. Retrocaecal
3. Subcaecal
4. Promontoric

Correct answer: 2. Retrocaecal

Explanation: The vermiform appendix is located in the right lower quadrant of abdomen.It is a narrow, worm shaped tube, arising from the posteromedial caecal wall, 2 cms or less below the end of the ileum. Its opening is occasionally guarded by a semicircular fold of mucous membrane known as the valve of Gerlach. The appendix is usually located at the junction of the taeniae, found on the surface of the caecum.Its length varies from 2-20 cms, with an average length of 9 cms.The attachment of the base of the appendix to the caecum remains constant, whereas the tip can be found in a retrocaecal (65%)-commonest, pelvic (30%)-second most common, subcaecal, preileal, post-ileal or promontoric positions